Conjunctival Xerosis is seen in:
1. Vitamin-A deficiency
2. Trachoma
3. Pemphigus
4. All of the above

Correct answer: 4. All of the above

Explanation: All of the above